Balloon valvotomv is successful in all of the following cases except-
1. Congenital pulmonary stenosis
2. Calcified mitral stenosis
3. Mitral stenosis is pregnancy
4. Congenital aortic stenosis

Correct answer: 2. Calcified mitral stenosis

Explanation: Ans. is 'b' i.e., Calcified mitral stenosis It is indicated in MS without calcification.